In occult filariasis, all are true except
1. Microfilaria is demonstrable in blood
2. Microfilaria is demonstrable in lungs
3. Eosinophilia present
4. Thrombophlebitis can occur

Correct answer: 1. Microfilaria is demonstrable in blood

Explanation: In occult filariasis, microfilaria is not demonstrable in blood.